True about severe barbiturate poisoning EXCEPT:
1. Hypothermia
2. Hypertension
3. Coma
4. Non-reactive pupil

Correct answer: 2. Hypertension

Explanation: B i.e. Hypertension Barbiturates cause hypotension not hypertension.Q